The blood supply of the Jejunum is through the-
1. Inferior mesenteric artery
2. Superior mesenteric artery
3. Pancreatico duodenal artery
4. Ileocolic artery

Correct answer: 2. Superior mesenteric artery

Explanation: Ans. B. Superior mesenteric arteryArterial supply to the gastrointestinal tract:-a. The arterial supply to the gastrointestinal tract is derived from the anterior midline visceral branches of the aorta. There are usually three anterior branches, the coeliac trunk and the superior and inferior mesenteric arteries. Variants in the origin of the arteries are very rare.b. The most common is a joint origin of the upper two branches as either a coeliac mesenteric trunk or a lienohepaticomesenteric trunk with a separate left gastric artery. Accessory or replaced branches to the upper abdominal viscera are more common. Accessory anastomotic vessels between the origin of the coeliac trunk and superior mesenteric artery are rare.c. The inferior mesenteric artery always arises separately, however, replaced, accessory or anastomotic vessels occasionally arise from the proximal superior mesenteric artery or its branches and contribute to the arterial supply to the proximal territory of the inferior mesenteric artery.d. The coeliac trunk and its branches supplies the gastrointestinal tract from the distal third of the oesophagus to the mid part of the duodenum and all derived adenexae (liver, biliary tree, spleen, dorsal pancreas, greater omentum and lesser omentum).e. The superior mesenteric artery supplies the tract from the mid second part of the duodenum to the distal third of the transverse colon (jejunum, ileum, caecum, appendix, ascending colon and ileal mesentery).f. The inferior mesenteric artery supplies the tract from the distal transverse colon to the upper anal canal.g. Other than accessory arteries, numerous medium calibre arteries form anastomoses between the vascular territories. The most profuse occurs around the head of the pancreas and the duodenum, where anastomoses form between the anterior and posterior superior pancreaticoduodenal arteries and the inferior pancreaticoduodenal arteries; the posterior superior pancreaticoduodenal artery and jejunal arteries; the greater pancreatic artery and jejunal arteries.h. The anastomoses between the territories of the superior and inferior mesenteric arteries are less pronounced and more variable: the most reliable is the pericolic marginal artery, which runs along the transverse colon. Additional anastomotic arcades may exist in the colic mesentery between the transverse and descending colon